Sputum positive TB is?
1. 1 out of 2 sputum sample +ve
2. 2 out of 3 sputum sample +ve
3. BACTEC +ve
4. None

Correct answer: 1. 1 out of 2 sputum sample +ve

Explanation: One positive specimen out of the two sputum specimens is enough to declare a patient as smear positive TB Reference; Park's Textbook of preventive and social medicine, 24th edition.Pg no. 193